True about next generation sequencing
1. Entire human genome can be sequenced within a single day
2. More sensitive than sanger sequencing
3. It Utilizes RNA sequencing to discover novel RNA variants
4. All of the above

Correct answer: 4. All of the above

Explanation: Next generation sequencing rapidly sequences whole genome, it is more sensitive method compared to sanger sequencing.